Migratory thrombophlebitis is associated with the following malignancies except
1. Lung cancer
2. Prostate cancer
3. Pancreas cancer
4. Testicular carcinoma

Correct answer: 4. Testicular carcinoma

Explanation: Malignancies associated with Migratory Thrombophlebitis CA pancreas CA lung GI malignancies Prostate cancer Ovarian cancer Lymphoma Ref: Sabiston 20th edition Pgno : 1845